All except one are by pass procedures used in surgical management of lymphoedema
1. Homan's operation
2. Handley's operation
3. Kinmonth operation
4. Gillies operation

Correct answer: 1. Homan's operation

Explanation: Homan's Operation is excisional procedure for management of lymphoedema.